In breast cancer Her-2/Neu helps by the following mechanism?
1. Overexpression
2. Suppression
3. Mutation
4. Translocation

Correct answer: 1. Overexpression

Explanation: Ans. is 'a' i.e., Overexpression * HER2 (from human epidermal growth factor receptor 2) or HER2/neu or ERBB2 gene which encodes for Receptor tyrosine-protein kinase erbB-2, also known as CD340, is a member of the human epidermal growth factor receptor (HER/EGFR/ERBB) family. Amplification or over-expression of this oncogene has been shown to play an important role in the development and progression of certain aggressive types of breast cancer.* Other cancers associated with this gene ovarian cancer, lung cancer, stomach cancer & oral cancer.